Ist urge of micturition comes at
1. 50ml
2. 150ml
3. 250ml
4. 350ml

Correct answer: 2. 150ml

Explanation: When 100-150 millilitres (3.5-5 ounces) of urine accumulate, the first sensations of a need to void are felt. The feeling increases in intensity as more urine accumulates, and it becomes uncomfortable at a bladder volume of 350-400 millilitres. Impulses from the pelvic nerves mediate the sensations of bladder filling, painful distension, and the conscious need to urinate. Ref: guyton and hall textbook of medical physiology 12 edition page number:519,520,521